A patient is suffering from atherosclerosis, which of the following drug is most effective for the prevention of stroke in this patient
1. Warfarin
2. Heparin
3. Aspirin
4. Digoxin

Correct answer: 3. Aspirin

Explanation: Antiplatelet drugs are used for the prophylaxis of arterial thrombotic conditions like stroke and MI.

Atrial fibrillation increases the risk of thromboembolism and can result in stroke